In craniocerebral trauma, lumbar puncture is essential in only one of the following
1. To confirm raised intracranial tension
2. In prolonged unconsciousness
3. When there is papilloedema
4. When meningitis is suspected

Correct answer: 4. When meningitis is suspected

Explanation: (D) When meningitis is suspected # BACTERIAL MENINGITIS, although potentially a life-threatening infection, seldom requires neurosurgical intervention.> Treatment involves confirming diagnosis & identifying organism by a CSF sample, usually via lumbar puncture.> Broad-spectrum intravenous (i.v.) antibiotics with good CSF penetration should then be commenced without delay.> Ceftriaxone 2g 12 hourly & metronidazole 400 mg 8 hourly & adjusted as cultures & sensitivities become available.